Ectopic mucosa of Meckel's diverticulum is diagnosed by:
1. Tc-99 radionuclide scan
2. Angiography
3. CT
4. Endoscopy

Correct answer: 1. Tc-99 radionuclide scan

Explanation: Ans. (a) Tc-99 radionuclide scanRef: Sabiston 19th edition, Pages 1268-1270* Tc99m radionuclide scan is based on the presence of ectopic gastric mucosa.* The sensitivity of the scan can be increased by giving glucagon, pentagastrin or cimetidine.